Drug used for ameliorative test for Myasthenia gravis is
1. Edrophonium
2. Physostigmine
3. Tacrine
4. Pyridostigmine

Correct answer: 1. Edrophonium

Explanation: KDT 6/e p 104 Drug used in ameliorative test(tensilon test) for Myasthenia gravis is edrophonium. it is a cholinergic drug and can be used for diagnosis of Myasthenia gravis because of a short duration of action(10-30 min)